Theory of Pshycosexual development was given by
1. Freud
2. Piaget
3. Skinner
4. Kaplan

Correct answer: 1. Freud

Explanation: Freud